Which of the following is not an example of fibrinoid necrosis?
1. PAN
2. Rheumatoid arthritis
3. Pancreatitis
4. Rheumatic fever

Correct answer: 3. Pancreatitis

Explanation: Ans. is 'c' i.e., Pancreatitis Fibrinoid necrosis* Fibrinoid necrosis is special form of necrosis typically occurs when complexes of antigen and antibodies are deposited in the walls of arteries. Deposits of these "immune complexes", together with fibrin that has leaked out of vessels, result in a bright pink and amorphous appearance in H & E stains, called "fibrinoid" (fibrin like) by pathologists.* Diseases causing fibrinoid necrosis are malignant hypertension (most common), PAN, SLE, SABE, acute rheumatic fever (Aschoffs nodule), RA, HSP, HBV, near peptic ulcer and malignancy.* Note: In fibrinoid necrosis, there is no deposition of fibrin. It is fibrin like matter, which is deposited.